Whipple's disease is caused by.
1. Bacteria
2. Virus
3. Protozoa
4. Helminths

Correct answer: 1. Bacteria

Explanation: Whipple disease is cause by bacteria called tropheryma whippli. It is responsible fot causing influx of lot of macrophages leading to compression of lacteals and impairment in absorption of nutrients. Rod shaped bacillis in macrophage is seen. Patient complains of malabsorption. Parts +ve diastase resistant is seen in macrophage. Treatment with antibiotic will show dramatic improvement.